Therapeutic uses of prostaglandin E1 include all of the following EXCEPT :
1. Medical termination of pregnancy
2. Impotence
3. Primary pulmonary hypertension
4. Maintenance of patent ductus arteriosus

Correct answer: 3. Primary pulmonary hypertension